The representational hemisphere (cerebral) is better than the categorical hemisphere at
1. Language functions
2. Recognition of objects by their form
3. Understanding oprinted words
4. Mathematical calculation

Correct answer: 2. Recognition of objects by their form

Explanation: Left hemisphere is specialized for language and analytical ability, and is also called categorical hemisphere. The right hemisphere specialized for visuospatial ability is the representational hemisphere --is true for 97% of all people Ref: guyton and hall textbook of medical physiology 12 edition page number:543,544,545